Limited cutaneous systemic sclerosis have the following characteristic autoantibody positivity:
1. Anti Topoisomerase I
2. Anti-RNA polymerase III
3. Scl-70
4. Anticentromere

Correct answer: 4. Anticentromere

Explanation: Subset of systemic sclerosis limited cutaneous scleroderma has the following features: Skin involvement-Indolent onset and progression. Limited to fingers. Raynaud's phenomenon-Precedes skin involvement; associated with critical ischemia Pulmonary artery hypertension-Frequent, late, may be isolated Pulmonary fibrosis - rare scleroderma renal crisis-Very rare Calcinosis cutis-Frequent, prominent Characteristic autoantibodies-Anti Centromere In Diffuse systemic sclerosis Characteristic autoantibodies-Anti Topoisomerase I (Scl-70), anti-RNA polymerase III Ref: Harrison, E-18, P- 2758.